A pregnant female is taking carbimazole. Which of the following is not seen in the neonate?
1. Choanal atresia
2. Scalp defects
3. Cleft lip/palate
4. Fetal goiter

Correct answer: 3. Cleft lip/palate

Explanation: Use of antithyroid drugs in pregnancy may result in:


Fetal hypothyroidism
Aplasia cutis
Scalp or patchy hair defect
Choanal atresia
Esophageal atresia
Tracheoesophageal fistula
Minor facial anomalies
Hypoplastic or absent phalanges
Psychomotor delay